Following are features of ischemia in Anterior choroidal artery territory except
1. Hemiparesis
2. Hemisensory loss
3. Homonymous hemianopia
4. Predominant involvement of the anterior limb of internal capsule

Correct answer: 4. Predominant involvement of the anterior limb of internal capsule

Explanation: *Lesions of posterior 1/3 of the posterior limb and sublentiform and retrolentiform parts of the internal capsule lead to visual (hemianopia) and auditory (loss of hearing) defects. these lesions usually occur due to thrombosis of the anterior choroidal artery,a branch of internal carotid artery Ref Harrison20th edition pg 2456